The Le-Veen shunt in ascites is done between peritoneum and:
1. Cisterna chyli
2. Renal pelvis
3. Superior vena cava
4. Gall bladder

Correct answer: 3. Superior vena cava

Explanation: PERITONEO-VENOUS SHUNT A shunt is placed b/w peritoneal cavity & right Internal jugular vein (or) SVC. The shunt has valves which allow only UNIDIRECTIONAL flow. Fluid in peritoneal cavity due to refractory ascites is drained into systemic circulation. TYPES OF PERITONEO - VENOUS SHUNT: DENVER LE-VEEN MINNESOTA